Non-Contraceptive benefits of Mirena are all except :
1. Relief from menorrhagia
2. Relief of dysmenorrhea in endometriosis
3. Decreases risk of endometrial cancer
4. Decreases risk of ovarian cancer

Correct answer: 4. Decreases risk of ovarian cancer

Explanation: Health benefits of Mirena include: 1. Reduction of blood loss, which benefits patients with anemia and dysfunctional uterine bleeding 2. Reduction of pain and dysmenorrhea in endometriosis and adenomyosis 3. Beneficial effect on fibroids 4. Does not influence lactation or affect infant growth and development. 5. Can be used in prevention and treatment of endometrial hyperplasia. 6. Decreases the risk of endometrial cancer. 7. Decreases the risk of PID and hence protects against ectopic pregnancy.